A 36 year old male patient has reported to you with swelling in the submandibular region. His tongue is elevated and he complains of dysphagia. He has high fever. Intra oral examination reveals grossly destructed lower first molar.

CST (culture sensitivity test) is carried out to evaluate
1. Severity of infection
2. Whether the antibiotic dosage is adequate
3. Antibiotic is most sensitive or least resistant
4. To decide when to stop the Antibiotics

Correct answer: 3. Antibiotic is most sensitive or least resistant